Body mass index-percentile, which indicate obesity is:
1. 80
2. 85
3. 90
4. 95

Correct answer: 4. 95

Explanation: Ans. D: 95 BMI It is used differently for children. It is calculated the same way as for adults, but then compared to typical values for other children of the same age. Instead of set thresholds for underweight and overweight, then, the BMI percentile allows comparison with children of the same sex and age. A BMI that is less than the 5th percentile is considered underweight and above the 95th percentile is considered obese for people 20 and older. People under 20 with a BMI between the 85th and 95th percentile are considered to be overweight.